Heparin inhibits Xa by
1. Blocking vitamin K mediated activation of Xa
2. Activating Antithrombin III
3. Direct breakdown of Xa
4. Blocking P2 Y12 receptor of ADP

Correct answer: 2. Activating Antithrombin III

Explanation: Heparin contains pentasaccharide unit that activates Antithrombin III & inhibits factor Xa (Thus it is a indirect thrombin inhibitor).
Unfractionised heparin also contains a heteropolysaccharide unit that inhibits factor II a.
LMWH lacks this heteropolysacchoride unit and therefore inhibitors factor Xa only.